Urinary tract infection exists when the bacterial count in 1 ml. midstream specimen of urine is:
1. 100
2. 1000
3. 104
4. 105 or over

Correct answer: 4. 105 or over

Explanation: Ans. (d) 105or overRef: Smith 17th Edition, Page 196* >105 colony forming unit is used to exclude contamination.* 80% of UTI are due to E. Coli.* UTI caused by Staphylococcus are due to Hematogenous spread.* In Children MC cause - Klebsiella and Enterobacter species.* The most reliable Urine specimen is obtained by Supra Pubic Aspiration